The pathogenicity of E. histolytica is indicated by:
1. Zymodeme pattern
2. Size
3. Nuclear pattern
4. ELISA test

Correct answer: 1. Zymodeme pattern

Explanation: Ans. is 'a' i.e., Zymodeme patternZymodeme (isoenzyme) analysis: E. histolytica possesses several isoenzymes like malic enzyme, hexokinase, isomerase and phosphoglucomutase and these isoenzymes contribute in pathogenesis. When these isoenzymes are subjected to electrophoresis based on electrophoretic pattern (Zymodeme pattern) and mobility of these isoenzymes, Entamoeba can be diagnosed and speciated.